Post exposure active immunity should be given together in all except
1. Tetanus
2. Rabies
3. Measles
4. Hepatitis B

Correct answer: 3. Measles

Explanation: Park's textbook of preventive and social medicine 23rd edition *The active immunity in case of diseases like chickenpox,rubella and measles is acquired following clinical infection